What is the minimum recommended consumption level of PUFA by the WHO/ FAO expert group on diet, nutrition and prevention of chronic diseases?
1. 5%
2. 6%
3. 8%
4. 10%

Correct answer: 2. 6%

Explanation: As per the WHO/ FAO expert group recommendation, the following ranges have been decided: Total fat in diet: 15-30% Saturated fatty acids< 10% PUFAs 6-10% O-3 fatty acids: 1-2% O-6 fatty acids: 5-8% Trans fatty acids < 1% Ref: Park, 21st Edition, Page 565.